Gas in great vessels of fetus indicates:
1. Fetal distress
2. Post mature fetus
3. Fetal death
4. Premature fetus

Correct answer: 3. Fetal death

Explanation: Fetal death